According to ADA specification No or number 1, the minimum compressive strength for silver amalgam filling after one hour should be
1. 80 Mpa
2. 140 Mpa
3. 260 Mpa
4. 510 Mpa

Correct answer: 1. 80 Mpa